If a supramaximal stimulus is applied to an excitable tissue like a nerve or a muscle and it elicits a response, then the tissue is said to he in:
1. Absolute refractory period
2. Relative refractory period
3. Latent period
4. After-depolarization

Correct answer: 2. Relative refractory period

Explanation: Ans. b. Relative refractory period